A patient presents to the emergency department with uniocular diplopia. Examination with oblique illumination shows golden crescent while . examination with co-axial illumination show a dark crescent line. Which of the following is the most likely diagnosis -
1. Lenticonus
2. Coloboma
3. Microspherophakia
4. Ectopia lentis

Correct answer: 4. Ectopia lentis

Explanation: Ectopia lentis is a displacement or malposition of the eye's crystalline lens from its normal location. A partial dislocation of a lens is termed lens subluxation or subluxated lens; a complete dislocation of a lens is termed lens luxation or luxated lens. Uniocular diplopia is due to partial aphakia. Edge of subluxated lens is seen as dark crescent line on distant direct ophthalmoscopy. Shining bright golden crescent on slit-lamp examination. Phacodonesis may be seen. Ref: AK Khurana 6thE pg217